Enzyme needed in leucocytes for production of hypochlorite ?
1. NADPH oxidase
2. Myeloperoxidase
3. Catalase
4. Superoxide dismutase

Correct answer: 2. Myeloperoxidase

Explanation: Ans. is 'b' i.e., Myeloperoxidase Enzyme required to geneate superoxide anion (02 ) NADPH oxidaseEnzyme required to generate Hypochlorie (HOCL)- MyeloperoxidaseNADPH oxidase is also called respiratory burst (oxygen burst) oxidase.